Which of the following develops from the Dorsal mesogastrium?
1. Greater omentum
2. Lesser omentum
3. Coronary ligaments
4. Stomach

Correct answer: 1. Greater omentum

Explanation: Ans. is 'a' i.e., Greater omentum